False regarding ulnar nerve is. -
1. C7 fibers come from lateral cord
2. C7 8 T1
3. No branch in arm
4. Pass between supinator heads

Correct answer: 4. Pass between supinator heads

Explanation: Ulnar nerve
-         Continuation of Medial cord (C8, T1)
-        Receives fibers from lateral cord (C7)
-        No branch in arm
-        Enters forearm between two heads of flexor carpi ulnaris origin.